Corneal tattooing may be done with
1. Gold chloride
2. Calcium chloride
3. Copper sulfate
4. Potassium permanganate

Correct answer: 1. Gold chloride

Explanation: Gold chloride Ref ; Narayana reddy 33rd ed.